Commonest endocrine tumor of pancreas
1. A cells
2. B cells
3. Delta cells
4. VIPoma

Correct answer: 2. B cells

Explanation: Insulinomas- arising from B cells of pancreas- are the commonest endocrine pancreatic tumour(60%). Gastrinomas - arising from non-beta cells (G cells) of the pancreas- are the 2nd most common endocrine pancreatic tumour. Then comes Glucagonomas (arising from A cells) and VIPomas (arising from D2 cells of pancreas). Reference : page 709-10 SRB's manual of surgery 5th edition